During an emergency thoracotomy, the incision is made > 1cm lateral to the sternal margin. This will preserve which of the following structures?
1. Intercostal artery
2. Superficial epigastric artery
3. Internal mammary artery
4. Intercostal vein

Correct answer: 3. Internal mammary artery

Explanation: In case of anterolateral thoracotomy, which is usually a transverse or a vertical incision starting from fourth intercostal space, incision is made lateral to sternal in order to avoid injury to the adjacent vessels which include internal mammary artery. Superficial epigastric artery is the terminal branch of internal mammary artery and hence not at a risk in emergency thoracotomy. Intercostal vessels lie parallel to rib margin and hence not injured near sternal margin. Ref: General Thoracic Surgery, Volume 1 edited by Thomas W. Shields, Joseph LoCicero, Carolyn E. Reed, Richard H. Feins, Volume 1, Page 394